Prostaglandin derivatives are used in the following conditions except :
1. Cervical ripening
2. As an abortifacient
3. NSAID induced peptic ulcer
4. Patent ductus arteriosus

Correct answer: 4. Patent ductus arteriosus